Principles involved in classical conditioning are:
1. Generalization.
2. Extinction.
3. Discrimination.
4. All of the above.

Correct answer: 4. All of the above.